A middle aged man presents with paraesthesia of hands and feet. Examination reveals presence of 'Mees' lines in the nails and rain drop pigmentation in the hands. The most likely causative toxin for the above mentioned symptoms is:
1. Lead
2. Arsenic
3. Thallium
4. Mercury

Correct answer: 2. Arsenic

Explanation: B i.e. Arsenic